The Most common site of cerebral hemorrhage in hypertension is
1. Pons
2. Cerebrum
3. Putamen
4. Thalamus

Correct answer: 3. Putamen

Explanation: (C) Putamen > Most common sites are:- Basal ganglia (putamen, thalamus). Deep cerebellum. Pons.